Doc for Heparin induced thrombocytopenia is?
1. Argatroban
2. Warfarin
3. Low molecular weight heparin
4. Dabigatran

Correct answer: 1. Argatroban

Explanation: DOC for HIT is direct thrombin inhibitor like argatroban. Dabigatran could be used but it has more serious complications so not frequently used.